A young male patient presents with complete rectal prolapse. The surgery of choice is:
1. Delerome's procedure
2. Anterior resection
3. Abdominal rectopexy
4. Goodsall's procedure

Correct answer: 3. Abdominal rectopexy